Which of the following is earliest indicator of pathological gastroesophageal reflux in infants?
1. Postprandial regugitation
2. Respiratory symptoms
3. Upper GI bleed
4. Stricture esophagus

Correct answer: 2. Respiratory symptoms

Explanation: Presence of respiratory symptoms point towards pathological GERD.
Stricture esophagus and upper GI bleed are complications due to severe GERD.